Urine cytology is used for the screening of:
1. Wilms tumor
2. Renal cell carcinoma
3. Urothelial carcinoma
4. Carcinoma prostate

Correct answer: 3. Urothelial carcinoma

Explanation: Ans. (c) Urothelial carcinomaRef: Campbell Urology 11th Edition, Page 2197* Urinary cytology is used for screening of urothelial cancer.* AUA guidelines for evaluation include cystoscopy, upper; tract imaging and urine cytology.